Osteomeatal complex (OMC) connects:
1. Nasal cavity with maxillary sinus
2. Nasal cavity with sphenoid sinus
3. The two nasal cavities
4. Ethmoidal sinus with ethmoidal bulla

Correct answer: 1. Nasal cavity with maxillary sinus

Explanation: Osteomeatal complex lies in the middle meatus.It is the final common drainage pathway for the maxillary, frontal and anterior ethmoid sinuses into the nasal cavity.